Which of the following emits gamma radiations only?
1. Strontium 89
2. Technetium 99m
3. Phosphorus 32
4. Tin 117m

Correct answer: 2. Technetium 99m

Explanation: Radionuclides react with hydroxyapatite and the pattern of uptake is seen on the bone scan. Strontium-89, Samarium-153, Phosphorus -32, Rhenium-186, Tin -117m emit beta particles with a mean range between 0.2 to 3 mm, minimising toxicity to the surrounding tissues.
Technetium 99m emits gamma radiations and is used as a diagnostic tool in medical sciences.